Trachoma is caused by which serotype of chlamydia trachomatis?
1. D to K
2. A, B, C
3. L1 L2 L3
4. All of the above

Correct answer: 2. A, B, C

Explanation: Ans. is. 'b' i. e., A, B, C